Primary biliary cirrhosis is most commonly associated with______
1. Systemic sclerosis
2. Sjogren syndrome
3. Ulcerative colitis
4. Pancreatitis

Correct answer: 2. Sjogren syndrome

Explanation: Primary Biliary Cirrhosis Autoimmune disorder Clinical manifestation - obstructive jaundice F > M Antibody seen in antimitochondrial ab which is formed against E2 subunit of PDH enzyme. Interlobular bile ducts are actively destroyed by lymphoplasmacytic inflammation with or without granulomas.